1st carpometacarpal joint is a ty pe of -
1. Ellipsoid
2. Saddle
3. Condylar
4. Ball and socket

Correct answer: 2. Saddle

Explanation: Ans. is 'b' i.e.. Saddle Joints of upper extrimitvName of jointType of jointSternoclavicularAcromioclavicularShoulderElbowSuperior radioulnarInferior radioulnarMiddle radioulnarWrist1st carpometacarpalMetacarpophalangealInterphalangealIntercarpal and midcarpatSaddlePlane synovialBall and socketHingePivotPivotSyndesmosisEllipsoidSaddleEllipsoid (functionally)Condylar (Structurally)HingePlane synovial